Acoustic neuroma commonly affects the:
1. 5th cranial nerve
2. 6th cranial nerve
3. 7th cranial nerve
4. 8th cranial nerve

Correct answer: 4. 8th cranial nerve

Explanation: Acoustic neuromas are slow-growing tumors that can eventually cause a variety of symptoms by pressing against the eighth cranial nerve. Hearing loss in one ear (the ear affected by the tumor) is the initial symptom in approximately 90 percent of patients.